In Alibert bazin syndrome, origin of lymphoma is from:
1. Eosinophil
2. B lymphocyte
3. Monocyte
4. T lymphocyte

Correct answer: 4. T lymphocyte

Explanation: Albert Bazin Syndrome (Mycosis Fungoides):- Neoplastic Proliferation of mature CD4 T cell Infiltrates the skin producing localized skin rash, plaque, and nodule. Aggregates of neoplastic cells in epidemic are called Pautrier's micro-abscesses (Epidermatropism) Cell can spread in blood producing Sezary syndrome:- Characteristic lymphocyte with cerebriform nuclei( Sezary cells) Also k/a Cutaneous T cell lymphoma Rx- Topical steroid and exposure to UV rays Vorinostat (Histone deacetylase inhibitor)